Dialysis is not indicated in:
1. Hyperkalemia
2. Hypercalcemia
3. Aspirin
4. Digitalis toxicity

Correct answer: 4. Digitalis toxicity

Explanation: Digitalis toxicity